With the increase in age keratinisation of gingiva
1. Increases
2. Decreases
3. Remains the same
4. Increases and then decreases

Correct answer: 2. Decreases